Most important measure to prevent hospital infection ?
1. Use of antibiotics
2. Use of antiseptics
3. Proper hand washing
4. Formalin fumigation

Correct answer: 3. Proper hand washing

Explanation: Ans. is 'c' i.e., Proper hand washing There are following types of modes of transmission of hospital-acquired infections : 1) Contact transmission It is the most common and most preventable means of transmission. It is divided into two types - Direct contact : It involves contact of body surface to body surface with a physical transfer of microorganisms. Hand contact is most common mode of transmission. Indirect contact : It involves body surface contact with a contaminated intermediate object. As hand contact is the most common mode of transmission, the best preventive measure of nosocomial infection is proper hand hygiene. 2) Droplet transmission It occurs when droplet containing microorganisms from an infected person are propelled through the air (e.g. coughing, sneezing) and land on the mouth, eyes or nose of another person. 3) Airborne transmission It results when a droplet containing microorganisms evaporates and remains suspended in air for a long time (this should not be confused with droplet infection, in which transmission is immediate and droplets do not remains suspended in the air). Airborne transmission also occurs by dust particles containing microorganism. 4) Vehicle transmission It refers to transmission of infection by contaminated items such as food, water, medications, devices and equipment.